Vaccine of yellow fever is
1. 17D
2. 5D
3. 4D
4. 2D

Correct answer: 1. 17D